Virchow-Robin's space is a part of
1. Epidural space
2. Subdural space
3. Subarachnoid space
4. Fourth ventricle

Correct answer: 3. Subarachnoid space

Explanation: The piamater, together with a narrow extension of the subarachnoid space, accompanies the vessels deep into the brain tissue; this space is called the perivascular space, or Virchow-Robin's space